Diffuse cutaneous systemic sclerosis is characterised by:
1. Early pulmonary fibrosis
2. Raynauds phenomenon
3. Calcinosis cutis
4. Long term prognosis is better

Correct answer: 1. Early pulmonary fibrosis

Explanation: Diffuse cutaneous SSc is associated with 1. Progressive skin induration 2. Early pulmonary fibrosis and acute renal involvement. Limited cutaneous SSc have 1. Long-standing Raynaud's phenomenon before other manifestations of SSc appear. 2. Skin involvement remains limited to the fingers (sclerodactyly) A subset of patients with limited systemic sclerosis have a) calcinosis cutis, b) Raynaud's phenomenon, c) esophageal dysmotility, d) sclerodactyly e) telangiectasia (Termed CREST syndrome) Long term prognosis is poor in diffuse variety than limited systemic sclerosis. Ref: Harrison, E-18, P- 2757.